Antioxidant vitamin -
1. Vitamin A
2. Ascorbic acid
3. Vitamin E
4. All of the above

Correct answer: 4. All of the above

Explanation: Ans. is 'd' i.e., All of the above o There are two types of antioxidant systems :-Enzymatic antioxidant systemThis includeCatalaseSuperoxide dismutase (SOD)Glutathione peroxidaseNon-enzymatic antioxidant systemThis is further subdivided intoVitamins : Vitamin E, Vitamin A & beta carotene. Vitamin C.Minerals : Selenium, Copper, Zinc, ManganeseTissue proteins : Transferrin, ferritin, lactoferrin, ceruloplasminAmino acids : Glutathione, Cysteine